Hanging with the feet touching the ground is seen in-
1. Partial hanging
2. Complete hanging
3. Homicidal hanging
4. Suicidal hanging

Correct answer: 1. Partial hanging

Explanation: Complete hanging: Body is fully suspended and no part of the body touches the ground. Constricting force is the weight of the body.
Incomplete (partial) hanging: There is partial suspension and some body part (usually Iower) is touching the ground. Constricting force Is the weight of the head (5-6 kg).